Which of the following drugs produce significant nephrotoxicity ?
1. Cisplatin
2. Carboplatin
3. Vinblastine
4. Vincristine

Correct answer: 1. Cisplatin